Palpable pupura is seen in all conditions except –
1. Cryoglobulinuria
2. H.S. pupura
3. Gaint cell arteritis
4. Drug induced vasculitis

Correct answer: 3. Gaint cell arteritis

Explanation: Vasculitis of small vessels cause palpable purpura, whereas giant cell arteritis affects large vessels.